Patient presents with waxy flexibility, negativism & rigidity diagnosis is -
1. Paranoid schizophrenia
2. Catatonic schizophrenia
3. Hebephrenic Schizophrenia
4. Simple Schizophrenia

Correct answer: 2. Catatonic schizophrenia